Thrombocytopenia occurs in all except:
1. Henoch schonlein purpura
2. TTP
3. DIC
4. Wiskott Aldrich syndrome

Correct answer: 1. Henoch schonlein purpura

Explanation: Answer is A (Henoch Schonlein I'urpura) The mechanism of ecchymosis or purpura in Henoch Schonlein is vasculitis. There is no thrombocytopenia. All other options are known causes of thrombocytopenia. For details on Henoch Shonlein purpura refer the chapter on 'Connective tissue and metabolism'.